Methanol attacks -
1. Cones
2. Rods
3. Ganglion cells of retina
4. Germinal cell layer

Correct answer: 3. Ganglion cells of retina

Explanation: Ans. is 'c' i.e., Ganglion cells of retina o Methyl alcohol is metabolised very slowly and thus stays for a longer period in the body.o It is oxidised into formic acid and formaldehyde in the tissues. These toxic agents cause oedema followed by degeneration of the ganglion cells of the retina, resulting in complete blindness due to optic atrophy.